In a vertex presentation the diameter of engagement is:
1. Suboccipitobregmatic
2. Suboccipito-frontal
3. Occipitofrontal
4. Bitemporal

Correct answer: 1. Suboccipitobregmatic

Explanation: Ans. A. SuboccipitobregmaticFetal skulla. Mento vertical diameter =14.5cm,b. Submentovertical =11.5cm,c. Sub occipitofrontal =10cm,d. Suboccipitobregmatic =9.5cm (diameter of engagement in vertex presentation),e. Biparietal =9.5cm.